Acellular pertusis vaccine contains-(
1. Pertactin, flagillary hemagglutinin, cytotoxin, endotoxin
2. Pertactin, flagillary hemagglutinin, fimbriae, endotoxin
3. Pertactin, cytotoxin, fimbriae, pertusis toxin
4. Flagillary hemagglutinin, pertusis toxin, fimbriae

Correct answer: 4. Flagillary hemagglutinin, pertusis toxin, fimbriae

Explanation: Ans. is 'd' i.e., Flagillary hemagglutinin, pertussis toxin, fimbrial . Acellular pertussis vaccines currently available from different manufactures should be considered as different and unique products because of the presence of one or more different components which are: - Chemically or genetically detoxified pertussis toxin (PT toxoid). - Filamentous hemagglutinin - 69k Da outer membrane protein ( also known as pertactin). - Fimbrial-2 and fimbrial-3 antigens.